Which of the following is not an intralobular duct:
1. Intercalated ducts.
2. Striated ducts.
3. Excretory ducts.
4. All of the above

Correct answer: 3. Excretory ducts.

Explanation: There are two types of intralobular ducts - the intercalated and striated ducts. The excretory ducts are interlobular.